A 73-year-old man has angina pectoris on exertion, but an angiogram reveals noncritical stenosis of the coronary arteries. This occurs most frequently with which of the following valvular heart diseases?
1. mitral stenosis
2. mitral insufficiency
3. pulmonary stenosis
4. aortic stenosis

Correct answer: 4. aortic stenosis

Explanation: In the absence of critical CAD, angina pectoris occurs most frequently with aortic stenosis. AMI is usually due to associated atherosclerotic coronary occlusion.